Intravenous furosemide is used for rapid control of symptoms in acute left ventricular failure. It provides quick relief of dyspnoea by:
1. Producing bronchodilation
2. Causing rapid diuresis and reducing circulating blood volume
3. Causing vasodilation
4. Stimulating left ventricular contractility

Correct answer: 3. Causing vasodilation

Explanation: Furosemide is a high ceiling diuretic. Its major mode of benefit in acute pulmonary edema is vasodilation. Due to its vasodilatory action, it shifts the fluid from pulmonary to systemic circulation. This results in the rapid relief of symptoms Diuretic action develops later.